Deep ring is situated in ?
1. External oblique
2. Internal oblique
3. Fascialis tranversalis
4. Cremasteric fascia

Correct answer: 3. Fascialis tranversalis

Explanation: Ans. is 'c' i.e., Fascialis tranversalisDeep inguinal ring - Defect in fascia transversalis.Superficial inguinal ring -3 Defect in external oblique aponeurosis.Deep inguinal ring is oval or circular orifice in transversalis fascia (posterior wall of inguinal canal) 1.25 cm above mid inguinal point. It is larger in male. Inferior epigastric vessels run upward and medially along the medial margin of deep inguinal ring. Indirect inguinal hernia enters inguinal canal through it.Superficial inguinal ring is a triangular aperture in the external oblique aponeurosis. Base is formed by pubic crests margins are known as crura. Lateral crus is stronger and is formed by medial end of inguinal ligament. Center of the ring is above and medial to pubic tubercle. It is larger in males.